BAL is useful in treating poisoning due to all, except:
1. Lead
2. Mercury
3. Cadmium
4. Arsenic

Correct answer: 3. Cadmium

Explanation: Ans. Cadmium